A 46-year-old woman with hypertension and diabetes mellitus type II comes to the physician because of elevated blood pressure despite diet and exercise. She takes metformin to control her diabetes, Her temperature is 37°C (98.6°F), blood pressure is 146/72 mmHg, a pulse is 76/mm, respirations are 16/mu, and oxygen saturation is 98% on room air 

Which of the following medications is most likely to be prescribed?
1. Amlodipine
2. Furosemide
3. Lisinopril
4. Spironolactone

Correct answer: 3. Lisinopril